All are involved in iron metabolism except:
1. Hepcidin
2. Ferroportin
3. Transthyretin
4. Ceruloplasmin

Correct answer: 3. Transthyretin

Explanation: Ans. C. TransthyretinHepcidin is the regulator of iron homeostasis. Ferroprotin is their on exporter protein into circulation from intestinal cells. Ceruloplasmin has ferroxidase which convert Fe2+ to Fe3+ so it can serve the purpose of hephaestin in iron metabolism. Transthyretin is a transport protein for Thyroxine and Retinol.